Which is the most common banding technique
1. G Banding
2. R - Banding
3. C Banding
4. Q Banding

Correct answer: 1. G Banding

Explanation: G - Banding (Giemsa) Banding is the most common banding technique. Here Chromosomes are stained with Giemsa stain and visualised under light microscope.